Bacitracin sensitive streptococci:
1. Steptococcus agalactiae
2. Streptococcus pyogenes
3. Enterococcus
4. Streptococcus viridans

Correct answer: 2. Streptococcus pyogenes

Explanation: Ans. (b) Streptococcus pyogenes Ref Ananthanarayan 8/e, p 207, 9/e, p 210 "Sensitivity to hacitracin is employed as a convenient method for differentiating Str. pyogenes from other hemolytic streptococci." For details see answer no 20 of chapter 8.